3-year-old Rajan is having sensorineural deafness, not benefited by hearing aids. Next best management is:
1. Cochlear implant
2. Stapes fixation
3. Stapedectomy
4. Fenestration

Correct answer: 1. Cochlear implant

Explanation: (a) Cochlear implant(Ref. Cummings, 6th ed., 2434)Stapedectomy is done for otosclerosis.Fenestration operation used to be done previously for otosclerosis, though stapedotomy is done these days.Stapes fixation is no surgery